Maximum prostaglandin secretion is seen in
1. Amniotic fluid
2. Saliva
3. Seminal fluid
4. Urine

Correct answer: 3. Seminal fluid

Explanation: Ans. is 'c' i.e., Seminal fluid"The concentrations in semen and mensural fluid probably reprent the highest concentrations of PGs found in human body" --www.reproductiveonline.org.